The nerve roots blocked in pudendal nerve block is
1. L1,2,3
2. L 2,3
3. S 2,3,4
4. S4

Correct answer: 3. S 2,3,4

Explanation: Pudendal nerve arises from S 2,3,4 roots